45 year old patient presents with acute cholecystitis. Blood investigation showed raised bilirubin. His pain resolved over the period but raised Bilirubin persisted. ERCP showed cholecystocholedochal fistula. What is the  probable diagnosis
1. Mirizzi syndrome
2. Cholangitis
3. Caroli's disease
4. Hepatic fibrosis

Correct answer: 1. Mirizzi syndrome

Explanation: Mirizzi syndrome is obstructive jaundice caused usually due to cholecystocholedochal fistula.